In anencephaly, Polyhydramnios is seen due to all of the following. EXCEPT?
1. Transudation of CSF
2. Absence of swallowing
3. Absent fetal pituitary
4. Uteroplacental Insufficiency

Correct answer: 4. Uteroplacental Insufficiency

Explanation: Anencephaly is a lethal NTD characterized by the absence of the brain and cranium above the base of the skull and orbits. It can be diagnosed as early as the first trimester on USG. Polyhydramnios is commonly seen due to the following reasons: a. Transudation of fluid across the membranes b. The absence of swallowing c. Absent fetal pituitary (absence of ADH hormone implies that the baby passes more urine).